Nitrates are contraindicated with
1. Sulphonylureas
2. Immunomodulators
3. SSRI's
4. PDE-5 inhibitors

Correct answer: 4. PDE-5 inhibitors

Explanation: Sildenafil & Tadalafil are the PDE-5 inhibitors which are contrainidicated with Nitrates to prevent severe hypotension.